Skeletal muscle contraction ends when:
1. Ions move out of cytoplasm
2. Ach is absorbed from the NMJ
3. Closure and indrawing of receptors
4. Decreased calcium outside reticulum

Correct answer: 4. Decreased calcium outside reticulum

Explanation: “Once the Ca2+ concentration outside the reticulum has been lowered sufficiently, chemical interaction between myosin and actin ceases and the muscle relaxes.”